The largest organ of the body is:
1. Skin
2. Liver
3. Gluteus maximus
4. Femur

Correct answer: 1. Skin

Explanation: (Skin): Ref: 278, 281-K=-Sembulingam physiology3rd* The liver is the largest gland in the body and has a wide variety of functions (265-Snell7th)* The liver is the largest gland in the body. (283-BDC-2)* Femer is the longest and the strongest bone of the body (16-B DC-2)* Skin is the largest organ of the body (278-K- Sembulingam physiology)* Skin is considered as the largest sense organ in the body it has many nerve endings, which are specialized to form cutaneous receptors (281-K. Sembulingam physiology3rd)